What is the duration of "new families"?
1. < 2 years
2. < 5 years
3. < 10 years
4. < 12 years

Correct answer: 3. < 10 years

Explanation: New family is a term applied to those under 10 years duration and consists of parents and children. Ref: Park 21st edition page: 633.